Which of the following is the ratelimiting enzyme in the biosynthesis of catecholamines?
1. Dopamine hydroxylase
2. Tyrosinase
3. DOPA decarboxylase
4. Tyrosine hydroxylase

Correct answer: 4. Tyrosine hydroxylase

Explanation: Tyrosine hydroxylase is the rate-limiting enzyme in the biosynthesis of catecholamines. Tyrosine is first hydroxylated to form 3,4- dihydroxyphenylalanine (DOPA) by the enzyme tyrosine hydroxylase. This enzyme is abundant in the central nervous system, the sympathetic ganglia, and the adrenal medulla Reference: Harpers illustrated biochemistry 30th edition